A 5-year old child presents with perivascul a r IgA deposition and neutrophilic. collection. There is erythematous rash on the lower limb and non-blanching purpura. Probable diagnosis is ?
1. Henoch-Schonlein purpura
2. Wegener's granulomatosis
3. Vasculitis
4. Kawasaki's disease

Correct answer: 1. Henoch-Schonlein purpura

Explanation: Ans is 'a' i.e., Henoch-Schonlein purpura